A patient with HIV disease is on Highly Active Anti Retroviral Therapy (HAART). He develops tuberculosis. Which one of the following anti-tubercular drugs interferes with HAART?
1. Isoniazid
2. Ethambutol
3. Pyrazinamide
4. Rifampicin

Correct answer: 4. Rifampicin